Which of the following indices measures burden of disease in a defined population and the effectiveness of the interventions:
1. HALE
2. DALY
3. PQLI
4. HDI

Correct answer: 2. DALY

Explanation: Ans. B i.e. DALY Disability-adjusted life year (DALY) It is a measure of overall disease burden, expressed as the number of years lost due to ill-health, disability or early death. The DALY is becoming increasingly common in the field of public health and health impact assessment (HIA). It "extends the concept of potential years of life lost due to premature death...to include equivalent years of 'healthy' life lost by virtue of being in states of poor health or disability."